Peak HCG levels are by what intrauterine age?
1. 7-9 weeks
2. 11-13 weeks
3. 20 weeks
4. 25 weeks

Correct answer: 1. 7-9 weeks

Explanation: ANSWTER: (A) 7-9 weeksREF: Dutta 6th ed p. 58-59HCG is a glycoprotien with two subunitsThe beta subunit is unique to it and is specific.Synth sized by syncytiotrophoblastsHalf life is 24 hoursIn early pregnancy doubling time is 1.4-2 daysCan be detected as early as 8 days following ovulation by immuno assayLevels progressively rise and reach maximum by 8-10 weeks/70 days/lst trimesterFalls until 18-20 weeks and remains low until term.Disappears from circulation by 2 weeks